Person wakes up with pain, paresthesia, tingling of the arms. He had slept with arm below the head. Which fibres are involved?
1. Type A fibres
2. Type B
3. Type C (pain)
4. Type C (postganglionic)

Correct answer: 1. Type A fibres

Explanation: Pressure on a nerve cause loss of conduction in large diameter motor, touch and pressure ie type A fibre while pain fibre c remains intact. Ref: Ganong's review of medical physiology; 23rd edition; pg:89.